IUGR is defined when :
1. Birth weight is below the tenth percentile of the average of gestational age
2. Birth weight is below the 20 percentile of the average of gestational age
3. Birth weight is below the 30 percentile of the average of gestational age
4. Weight of baby is less than 1000 gm

Correct answer: 1. Birth weight is below the tenth percentile of the average of gestational age

Explanation: Ans. is a i.e. Birth weight is below the tenth percentile of the average of gestational age Intrauterine growth restriction is said to be present in those babies whose birth weight is below the tenth percentile of the average for the gestational age. Growth restriction can occur in preterm, term or post-term babies. Friends, IUGR is a very important topic for PGME exams so, let's throw some more light on IUGR. Birth weight of an infant is the single most important determinant of its chances of survival, healthy growth and development. IUGR and SGA (small for gestational age) are usually used synonymously but are different terms. SGA fetus is not necessarily growth retarded. The baby may be constitutionally small. These neonates are not at increased risk of perinatal mortality and morbidity.